'Hatter's shakes' are see in poisoning due to:
1. Mercury
2. Arsenic
3. Lead
4. Copper

Correct answer: 1. Mercury

Explanation: Ans: A (Mercury) Ref: The Essentials of Forensic Medicine and Toxicology by KS Narayan Reddy. 29th edition. 2010.Explanation:Symptoms of Mercury Poisoning:Acid metallic taste, hoarse voice, greyish white coating of tongue, blood-stained stool, circulatory collapse, necrosis of jaw-, membranous, colitis, proximal renal tubular necrosis.Acrodynia (Acro-Limbs Odynia-Pain) is seen in mercury poisoning taka Pink's Disease). It is characterized by Pain, swelling and parasthesia of Limbs.Miiuiinata disease--Contamination of fish with mercury, at a place called Minimate Bay in Japan.Chronic Poisoning (Hydrar gyrism)The symptoms are salivation, sore mouth and throat, fine tremors of the tongue, hands, arms, anemia.Shaking palsy is associated with Hg poisoning. Mercurial tremors are also called hatter's shakes or glass blower's shake or Danbury Tremors.Mercurial erethism is seen in persons working willy mercury in mirror manufacturing firms. Erethism is characterized by shyness, timidity, irritability, loss of confidence, mental depression, loss of memory and insomnia. (Psychological symptoms).Mercuria lends is a peculiar eye change due to brownish deposit of mercury through the cornea on the anterior lens capsule (Brown-Malt Reflex). it is bilateral and has no effect on visual acuity